Melatonin is produced in all of the following, except?
1. Pineal gland
2. Suprachiasmatic nucleus
3. Gut
4. Retina

Correct answer: 2. Suprachiasmatic nucleus

Explanation: Melatonin - Sleep hormone Pineal gland produces melatonin Retina and gut are other areas of secretion It works on melatonin receptors on the Suprachiasmatic nucleus Synchronizes the circadian rhythm with day and night change